All of the following simulate chronic hepatitis except
1. HBV
2. Haemochromatosis
3. Willson's disease
4. HAV

Correct answer: 4. HAV

Explanation: Chronic hepatitis is seen in hepatitis B infection.
Wilson's disease may prevent as chronic hepatitis before neurological manifestation and formation of K.F. ring.
The liver is the first organ involved in haemochromatosis. In haemochromatosis there may be fibrosis cirrhosis or hepatocellular carcinoma (30% cases) Chronic hepatitis never seen in hepatitis A infection